Best ultrasonic finding to detect IUGR is :
1. Abdominal circumference
2. Biparietal diameter
3. Femur length
4. Tibia length

Correct answer: 1. Abdominal circumference

Explanation: Abdominal circumference